Stippling is absent in:
1. Infants only
2. Older men
3. Children
4. Both infants and old

Correct answer: 4. Both infants and old